Screening for which carcinoma is beneficial -
1. Carcinoma cervix
2. Lung carcinoma
3. Stomach caricinoma
4. None

Correct answer: 1. Carcinoma cervix

Explanation: Ref:Parks 23rd edition pg 387 Prolonged early phase of the cancer in situ can be detected by the Pap smear. The present strategy is to screen women using visual inspection after application of freshly prepared 5% acetic acid solution.